Which of the following is associated with lowest risk of causing extra pyramidal side effects?
1. Fluphenthixol
2. Clozapine
3. Haloperidol
4. Chlorpromazine

Correct answer: 2. Clozapine

Explanation: Extrapyramidal side effects are more commonly seen with typical antipsychotics. Among the 4 options given above, Clozapine is an atypical antipsychotic and hence carries the least risk of causing extrapyramidal side effects.